Most common malignant melanoma is
1. Superficial spreading
2. Lentigo maligma melanoma
3. Nodular
4. Acral lentiginous

Correct answer: 1. Superficial spreading

Explanation: Most common type of malignant melanoma is Superficial spreading (70%). Other are Nodular melanoma(12-25%), Lentigo maligna melanoma (7-15%), Acral lentiginous melanoma(5%), amelanotic melanoma and desmoplastic melanoma. Reference : page 295-96 SRB's manual of surgery 5th edition